Emotional effect to a physical stimulus is given by
1. Amygdala
2. Cortex
3. Cerebellum
4. Hippocampus

Correct answer: 1. Amygdala

Explanation: Emotion to sensory experiences (e.g. physical stimulus) is given by limbic system (especially amygdala).
"Limbic system adds feeling to sensory experiences and then lets these feelings direct behavior".
Hippocampus is involved in emotional memory.